All of the following are the components of the white pulp of spleen, except
1. Periarteriolar lymphoid sheath
2. B cells
3. Antigen presenting cells
4. Vascular sinus

Correct answer: 4. Vascular sinus

Explanation: The spleen contains two main types of tissue - white pulp and red pulp. White pulp is lymphatic tissue (material which is part of the immune system) mainly made up of white blood cells. Red pulp is made up of blood-filled cavities (venous sinuses) and splenic cords. Ref - BDC 6e vol2 pg297